A patient came with a hearing defect. His tuning fork tests results were - Weber test - sound from a vibrating tuning fork was louder than normal; Schwabach test - bone conduction was better than normal, and Rinne test - air conduction did not outlast bone conduction. Diagnosis is
1. Sensorial deafness in both ears
2. Conduction deafness in both ears
3. Normal hearing
4. Both sensorial and conduction deafness

Correct answer: 2. Conduction deafness in both ears

Explanation: Ganong's review of Medical Physiology, 25th ed, p 211